All are used for cervical ripening, except :
1. Ergometrine
2. Oxytocin
3. Stripping of membranes
4. Prostaglandins

Correct answer: 1. Ergometrine

Explanation: Ergometrine